For MTP, consent should be obtained from
1. Male partner
2. Male and female partner
3. Female partner
4. No consent needed

Correct answer: 3. Female partner

Explanation: For medical termination of pregnancy : Only female consent is required Husband consent is not required If the age is less than 18 yrs, consent of parent or guardian is required Ref: Dutta Obs 9e pg 165.